Hemolytic anemia may be characterized by all of the following except-
1. Hyperbilirubinemia
2. Reticulocytosis
3. Hemoglobinuria
4. Increased plasma haptoglobin level

Correct answer: 4. Increased plasma haptoglobin level

Explanation: Answer is D (Increased plasma Haptaglobin levels) Hemolytic anemia are associated with decreased or absent levels of plasma haptaglobin. Hyperbilirubinemia, Reticulocytosis and Hemoglobinuria are charachteristic features of hemolytic anemias.